Oral pill may prevent the development of :
1. Carcinoma breast
2. Ovarian malignancy
3. Sub - mucous fibroid
4. All of the above

Correct answer: 2. Ovarian malignancy

Explanation: Ovarian malignancy